Epidemic dropsy is due to:
1. BOAA
2. Pyrrolizidine alkaloids
3. Sanguinarine
4. Leucine

Correct answer: 3. Sanguinarine

Explanation: Ans:c (Sanguinarine) Ref: Park, 19th ed, p. 524Epidemic dropsy - due to ingestion of mustard oil contaminated with argemone oil which contains sanguinarine.Clinical features of epidemic dropsy include swelling of legs, diarrhoea, and cardiac failure, glaucoma. The toxic substance interferes with the metabolism of pyruvic acid and leads to its accumulation. Diagnosed by nitric acid test and paper chromatography.Endemic ascites - Panicum miliare (Gondhli) which gets contaminated with the seeds of crotalaria (Jhunjhunia), which contain pyrrolizidine alkaloids which are hepatotoxicLathyrism - Caused by the ingestion of kesari dhal. Toxic principle is beta oxalyl amino alanine.The diet containing over 30% of this dhal if taken over a period of 2-6 month will result in neurolathyrism.The disease mainly affects young males and manifests itself in stages.